Which of the following drugs acts by inhibiting DNA dependant RNA synthesis in mycobacteria?
1. Ciprofloxacin
2. INH
3. Rifampicin
4. Ethambutol

Correct answer: 3. Rifampicin

Explanation: Rifampicin is a bactericidal drug which acts by inhibiting DNA dependent RNA synthesis. INH is a sulfa drug which acts by inhibition of synthesis of mycolic acid, a fatty acid component of mycobacterial cell wall. Ethambutol acts by inhibiting arabinogalactan synthesis and by interfering with mycolic acid incorporation in mycobacterial cell wall.